Newman and Seabroocks operation is done for
1. Parotid fistula
2. Sialothiasis
3. Sjogren syndrome
4. Thyroglossal cyst

Correct answer: 1. Parotid fistula

Explanation: Newman and Seabroocks operation is reconstruction of duct done for parotid fistula.